Which one of the following combination is wrong?
1. Phenylalanine - Niacin
2. Trytophon - Serotonin
3. Phenylalanine - Melanin
4. Tyrosine - Epinephrine

Correct answer: 1. Phenylalanine - Niacin

Explanation: Niacin is formed by metabolism of tryptophan. Other options are correct amino acids and their metabolic productsRef: Textbook of biochemistry for medical students, seventh edition, page no: 239